Cycloxygenase enzyme is not inhibited by :
1. Aspirin
2. Warfarin
3. Phenylbutazone
4. Diclofenac

Correct answer: 2. Warfarin